Antitubercular drug causing gout is:
1. Streptomycin
2. Ethambutol
3. Rifampicin
4. None

Correct answer: 2. Ethambutol

Explanation: Ans. B: Ethambutol Drugs causing gout/hyperuricemia include Diuretics Low-dose salicylate Cyclosporine Pyrazinamide Ethambutol Levodopa 1 Nicotinic acid Methoxvflurane